Best view for visualizing Cl and C2 vertebrae is
1. AP
2. Lateral
3. Odontoid
4. Oblique

Correct answer: 3. Odontoid

Explanation: Ans. Odontoid